A chest physician observed that the distribution of forced expiratory volume (FEV) in 300 smokers had a median value of 2.5 litres with the first and third quartiles being 1.5 and 4.5 litres respectively. Based on this data now many persons in the sample ra eexpectable have a FEV between 1.5 and 4.5 litres-
1. 75
2. 150
3. 225
4. 300

Correct answer: 2. 150

Explanation: Here, it's given 1st and 3rd quartile, which includes 50% values . Here total is 300. So 50% means 150